Coeur en Sabot (Boot shaped heart) is typical of:
1. Atrial septal defect
2. Total anomalous pulmonary venous connection
3. Fallot’s tetralogy
4. Ebstein’s anomaly

Correct answer: 3. Fallot’s tetralogy

Explanation: Coeur en Sabot or Boot-shaped heart is typical of Tetralogy of Fallot.
Snowman sign on chest X-ray is seen in TAPVC (Total anomalous Pulmonary Venous connection).
Echocardiography is diagnostic and demonstrates that the aorta is not continuous with the anterior ventricular septum. The ECG shows right ventricular hypertrophy and the chest X-ray shows an abnormally small pulmonary artery and a ‘boot-shaped’ heart.